Hypergonadotropic hypogonadism is sean in all except?
1. Turner syndrome
2. Down syndrome
3. Klinefelter syndrome
4. Swyer's syndrome

Correct answer: 2. Down syndrome

Explanation: Ans. is 'b' i.e., Down syndrome Hypergonadotropic hypogonadism Also K/a primary or peripheral hypogonadism. Characterised by hypogonadism due to an impaired response of the gonads to the gonadotropin, FSH and LH. In turn a lack of sex steroid production and elevated gonadotropin level. Causes : Chromosomal abnormalitis Turner's syndrome Klinefelter syndrome Swyer's syndrome Enzyme defect 17 , hydroxylase 17, 20 lyase deficiency